In supracondylar fracture of humerus, the distal segment is often displaced to;
1. Anteriorly
2. Laterally
3. Posteriorly
4. Medially

Correct answer: 3. Posteriorly

Explanation: C i.e. Posteriorly